Nottingham Prognostic index for CA breast is:-
1. =(0.2 x size ) + grade + nodes
2. =(0.4 x size ) + grade + nodes
3. =(0.6 x size ) + grade + nodes
4. =(0.8 x size ) + grade + nodes

Correct answer: 1. =(0.2 x size ) + grade + nodes

Explanation: Nottingham Prognostic index NPI =(0.2 x tumor size in cm ) + Tumor grade + LN stage Used to select patients for adjuvant treatmentQ